Commonest presentation of Hodgkin's lymphoma is
1. Pruritis
2. Fever
3. Painless enlargement of lymph node
4. Leucocytosis

Correct answer: 3. Painless enlargement of lymph node

Explanation: Most patients present with palpable lymphadenopathy that is nontender; in most patients, these lymph nodes are in the neck, supraclavicular area, and axilla. More than half the patients will have mediastinal adenopathy at diagnosis, and this is sometimes the initial manifestation. Subdiaphragmatic presentation of Hodgkin's disease is unusual and more common in older males.